In which of the following is medullary thyroid cancer is the most aggressive form -
1. MEN type I
2. MEN type II a
3. MEN type II b
4. Sporadic cases

Correct answer: 3. MEN type II b

Explanation: Medullary thyroid carcinoma in MEN 2B develops earlier and is more aggressive than in MEN 2A.